All cause malabsorption except -
1. Giardiasis
2. Ascaris lumbricoides
3. Strongyloides
4. Capillaria phillipinesis

Correct answer: 2. Ascaris lumbricoides

Explanation: largest intestinal nematode Heavy infection-intestinal obstruction Colicky cramps and loss of appetite (refer pgno:139 baveja 3 rd edition)